Q Fever is transmitted by:
1. Rickettsia prowazeki
2. Ricketssia mooseri
3. Ricketssia burnetti
4. Ehrilichia chafeensis

Correct answer: 3. Ricketssia burnetti

Explanation: Ricketssia burnetti